Dohlmann's procedure is done in
1. Zenkers diverticulum
2. Barretts oesophagus
3. Schatzki ring
4. Achalasia cardia

Correct answer: 1. Zenkers diverticulum

Explanation: PHARYNGEAL POUCH Also called hypopharyngeal diverticulum or Zenker's diverticulum, it is a pulsion diverticulum where pharyngeal mucosa herniates through the Killian's dehiscence--a weak area between two parts of the inferior constrictor. TREATMENT :- 1. Excision of pouch and cricopharyngeal myotomy. This is done through cervical approach. 2. Dohlman's procedure. The partition wall between the oesophagus and the pouch is divided by diathermy through an endoscope. This is done in poor risk debilitated patients. 3. Endoscopic laser treatment. It is similar to Dohlman's procedure. Partition between the pouch and oesophagus is divided by CO2 laser using operating microscope. Ref:- Dhingra; pg num:-274,275